Which among the following is primary bile acid?
1. Deoxycholic acid
2. Lithocholic acid
3. Chenodeoxycholic acid
4. All of the above

Correct answer: 3. Chenodeoxycholic acid

Explanation: Chenodeoxycholic acid and cholic acid are the primary bile acids.
Deoxycholic acid and Lithocholic acid are the secondary bile acids.